Bursa communicating with the shoulder joint space is
1. Infraspinatous bursa
2. Subscapular bursa
3. Subcoracoid bursa
4. Subacromian bursa

Correct answer: 2. Subscapular bursa

Explanation: Infraspinatus bursa may communicate with the shoulder joint. Subacromial bursa separates the acromion process and the coracoacromial ligaments from supraspinatus tendon and permit smooth motion. B D Chaurasia 7th edition Page no: 148